Mitral stenosis is associated with
1. Right ventricular hypertrophy
2. Left ventricular hypertrophy
3. Left axis deviation
4. QRS complex

Correct answer: 1. Right ventricular hypertrophy

Explanation: Ref Harrison 19 th ed pg 1540 MS and sinus rhythm, the P wave usually suggests LA enlargement ). It may become tall and peaked in lead II and upright in lead V1 when severe pulmonary hypertension or TS complicates MS and right atrial (RA) enlargement occurs. The QRS complex is usually normal